Sister mary joseph nodule is commonly seen with:
1. Ovarian CA
2. Colon CA
3. Pancreatic CA
4. Stomach CA

Correct answer: 4. Stomach CA

Explanation: Ans. (d) Stomach CARef: Bailey & Love 26th ed. ch 63/1050* Tumour of the stomach may spread via the abdominal cavity to the umbilicus (Sister Josephs nodule).* The ovaries may sometimes be the sole site of transcoelomic spread (Krukenbergs tumours).